Active immunity is not acquired by:
1. Infection
2. Vaccination
3. Immunoglobulin transfer
4. Sub clinical infection

Correct answer: 3. Immunoglobulin transfer

Explanation: Ans: c (Immunoglobulin transfer)Ref: Ananthanarayan Micro, 7lhed, p. 76 & 6th ed, p. 73